Ideal angle the sharpening stone must form with the face of the blade is
1. 70 - 80 degrees
2. 90 - 100 degrees
3. 100 - 110 degrees
4. 120 - 130 degrees

Correct answer: 3. 100 - 110 degrees